All the following are indications for brain imaging in epilepsy, except
1. Epilepsy starts after the age of 5 years
2. Seizures have focal features clinical
3. EEG shows a focal seizure source
4. Control of seizures is difficult

Correct answer: 1. Epilepsy starts after the age of 5 years

Explanation: . *Indications for brain imaging in epilepsy: -epilepsy starting after the age of 16yrs -seizures having focal features clinically -EEG showing a focal seizure source -control of seizures difficult or deteriorating. Ref Harrison20th edition pg 2133